One of the following antihypertensive is NOT used in pregnancy:
1. Enalapril
2. Methyldopa
3. Hydralazine
4. Nifedipine

Correct answer: 1. Enalapril

Explanation: Ans. A i.e. Enalapril